Study of death in all its aspects is known as
1. Trichology
2. Ornithology
3. Thanatology
4. Odontology

Correct answer: 3. Thanatology

Explanation: Thanatology is academic, and often scientific, the study of death among human beings.
It investigates the circumstances surrounding a person's death, the grief experienced by the deceased's loved ones, and larger social attitudes towards death such as ritual and memorialization.
It is primarily an interdisciplinary study, frequently undertaken by professionals in nursing, psychology, sociology, psychiatry, and social work.
It also describes bodily changes that accompany death and the after-death period. The word thanatology is derived from Greek mythology.
Thanatos (death) and Hypnos (sleep) were twin deities.